A woman who has been taking oral contraceptives for several years is diagnosed with epilepsy and started on phenytoin. Which of the following is the most likely consequences of adding phenytoin?
1. Agranulocytosis
2. Phenytoin toxicity
3. Reduced contraceptive efficacy
4. Thromboembolism

Correct answer: 3. Reduced contraceptive efficacy